Which of the following is a stain for heart failure cells?
1. PAS
2. Prussian blue
3. Sudan black
4. Oil red

Correct answer: 2. Prussian blue

Explanation: Heart failure cells, also called siderophages, are hemosiderin-containing macrophages in the alveoli of lung and these cell denote previous episodes of pulmonary edema due to left-sided heart failure.
Hemosiderin is nothing else but stored iron granules.
So, heart failure cells contain iron granules and thus will require a stain that is used for iron.
Stain used for iron is Prussian blue reaction (Perl's iron stain)